THEOPHYLLINE CAUSES DIURESIS BECUASE OF ?
1. BETA 2 AGONISM
2. PDE 3 INHIBITION
3. PDE 4 INHIBITOR
4. ADENOSINE A1 RECEPTOR ANTAGONISM

Correct answer: 4. ADENOSINE A1 RECEPTOR ANTAGONISM

Explanation: REF : KD TRIPATHI 8TH ED